Which one of the following  bacteria is  cell  wall  deficient?
1. Escherichia  coli
2. Salmonella  typhi
3. Mycoplasma
4. Treponema pallidum

Correct answer: 3. Mycoplasma

Explanation: Mycoplasma: 

This is a naturally occurring bacteria without cell walls. 
Mycoplasma is classiﬁed as an independent bacterial genus. 
They don't require a hypertonic environment for maintenance and are stable in culture medium.